Which of the following treatments is appropriate for tall peaked T waves, on ECG?
1. Atropine IV
2. Nitroprusside IV
3. Inhaled Salbutamol
4. Inhaled betamethasone

Correct answer: 3. Inhaled Salbutamol

Explanation: Tall or peaked T waves could be caused by hyperkalemia Salbutamol selectively produces Beta2 agonism decreasing the levels of potassium. It has an additive effect with insulin and glucose, which may in turn help shift potassium into the intracellular space. This agent lowers the serum potassium level by 0.5-1.5 mEq/L Ref: KD Tripathi 8th ed.